The nerve mediating pain of External hemorrhoids is:
1. Hypogastric nerve
2. Inferior rectal nerve
3. Pelvic splanchnic nerve
4. Sympathetic plexus

Correct answer: 2. Inferior rectal nerve

Explanation: -External hemorrhoids --> present below pectinate line , painful bleeding is present --> pain carried by Inferior Rectal Nerve (branch of pudendal nerve). -Internal haemorrhoids --> present above pectinate line --> painless bleeding is its feature.